Deficiency of which of the following element will impair wound healing:
1. Zn
2. Cu
3. Fe
4. Na

Correct answer: 1. Zn

Explanation: Zn is a co-factor in collagenase.